Every new born is administered with _______ dose of vitamin K to prevent hemorrhagic disease of new born
1. 5 - 10 mg iv
2. 0.5 - 1 mg im
3. 1 - 2 mg iv
4. 0.1 - 0.5 mg im

Correct answer: 2. 0.5 - 1 mg im

Explanation: All newborn infants are administered with 0.5 - 1 mg im to prevent hemorrhagic disease of Newborn (HDN) 1 mg to babies > 1kg and 0.5 mg to babies < 1 kg.